The glycolytic enzyme Enolase is inhibited by
1. Iodoacetate
2. Fluoride
3. Arsenate
4. Arsenic

Correct answer: 2. Fluoride